Middle area of face fracture (le-fort fracture) is characterized by all except
1. Proptosis
2. Lengthening of face
3. Enopthalmos
4. Ecchymosis

Correct answer: 1. Proptosis

Explanation: Ans. (a) ProptosisRef: Bailey & Love 26th ed. 1344Lefort IEcchymosis is presentLefort II and Lefort III (common)Gross edema of soft tissue over the middle third of the face, bilateral circumorbital ecchymosis, bilateral sub-conjunctival hemorrhage, epistaxis, CSF rhinorrhoea, dish face deformity, diplopia, enophthalmos, cracked pot sound.Lefort IIStep deformity at infra-orbital margin, mobile mid face, anesthesia or paresthesia of cheek.Lefort IIITenderness and separation at fronto- zygomatic suture, lengthening of face, depression of ocular levels, Enophthalmos, hooding of eyes, tilting of occlusal plane with gagging on one side FIG.: Le-fort fracture